Which of the following does cause epidemic kerato conjuctivitis -
1. Adenovirus
2. Enterovirus
3. Coxsakie virus
4. Herpes virus

Correct answer: 1. Adenovirus

Explanation: adeno virus cause epidemic keratoconjuctivitis REF:
MICROBIOLOGY ANANTHA NARAYANAN NINTH EDITION PAGE.482